Probiotics are useful for -
1. Necrotizing enterocolitis
2. Breast milk jaundice
3. Hospital acquired pneumonia
4. Neonatal seizures

Correct answer: 1. Necrotizing enterocolitis

Explanation: Probiotics are substances secreted by one organism which stimulates the growth of another.

Probiotics are useful in following conditions:

Rota virus diarrhea
Antibiotic associated diarrhea
Radiation induced diarrhea
Traveller’s diarrhea
Inflammatory bowel disease
Cancers